The toxicity of etambutol includes one of the following:
1. Peripheral neuritis
2. Green colour blindness
3. Red urine
4. Yellow colour blindness

Correct answer: 2. Green colour blindness

Explanation: The optic neuritis is the most serious side effect of ethambutol manifesting as reduced visual acuity, central scotoma, and loss of ability to see green colour. Ref: Harrisons Principles of Medicine, 18th edition, page : 1375